All of the following belong to arboviruses group except:
1. Bunyavirus
2. Paramyxovirus
3. Reovirus
4. Alphavirus

Correct answer: 2. Paramyxovirus

Explanation: Ans. B: Paramyxovirus More than 100 arboviruses cause disease in humans. Among the best known are: alphaviruses, flaviviruses, bunyaviruses, and reoviruses. Each causes specific types of illness. common one and the illness caused by them are: Alphaviruses - Eastern Equine encephalitis - Western Equine encephalitis - Venezuelan equine encephalitis Flaviviruses - St. Louis encephalitis - Japanese encephalitis - Yellow fever - Dengue Bunyaviruses - California encephalitis Reoviruses - Colorado tick fever